Which of the following is NOT an example of an epizootic?
1. Malaria
2. Brucellosis
3. Anthrax
4. Rabies

Correct answer: 1. Malaria

Explanation: EPIZOOTIC: It is an epidemic of disease in an animal population (often with the implication that it may also affect human populations). Only a few zoonotic agents cause major epidemics. Examples are anthrax, brucellosis, rabies, influenza, Rift valley fever, Japanese encephalitis and equine encephalitis. Ref: Park 21st edition, page 89.